During post transcriptional modification of RNA the following process does not take place:
1. Splicing
2. 5'capping
3. 3'polyadenylation
4. Glycosylation

Correct answer: 4. Glycosylation

Explanation: Ans. D. GlycosylationRNA produced after transcription is hn RNA. To form m RNA it undergoes modifications to remove intervening sequence called introns by splicing. For this 5'capping and 3'tailing is done to stabilize RNA.